The earliest symptom of acoustic nerve tumour is:
1. Sensorineural hearing loss
2. Facial weakness
3. Vertigo
4. Otorrhoea

Correct answer: 1. Sensorineural hearing loss

Explanation: (a) Sensorineural hearing loss(Ref. Scott Brown, 8th ed., Vol 2 page 1371)Mild vertigo and Facial weakness occur late.There is no ear discharge in Acoustic neuroma.